Extensive abrasions are found all over the body of a pedestrian lying by the road side. What is the likely cause?
1. Primary impact injury
2. Secondary impact injury
3. Secondary injury
4. Postmortem artifact

Correct answer: 3. Secondary injury

Explanation: The synopsis of forensic medicine & toxicology ;Dr k.s narayan reddy; 28th edition ;pg,no. 148 There is extensive abrasion all over the body of the victim more over the victim was a pedestrian so it may be caused by striking the ground ,rather than the vehicle itself hence it must be a secondary injury .